For split skin graft the best source is
1. Autograft
2. Homograft
3. Isograft
4. Xenograft

Correct answer: 1. Autograft

Explanation: (A) Autograft # Autograft is skin graft taken from an uninjured part of body (e.g. thigh skin) and is used for skin grafting in same person.> It is the best skin graft for open wounds because of very high rate of successful grafting.